Most common presentation of nasopharyngeal carcinoma is:
1. Epistaxis
2. Cervical lymphadenopathy
3. Nasal obstruction
4. Hearing loss

Correct answer: 2. Cervical lymphadenopathy

Explanation: Ans: B (Cervical lymphadenopathy) Ref: Diseases of the Ear, Nose and Throat by PL Dhingra. 5th edn .2010 page 265Explanation:Nasopharyngeal CarcinomaMost commonly seen in the Chinese populationBimodal age distributionRisk factors are burning of incense sticks, preserved salted fish and decreased intake of vitamin CTypes of Nasopharyngeal carcinoma Type I - squamous cell carcinoma Type II - non keratinizing carcinoma Type III - undifferentiated carcinomaPresents most commonly as cervical lymph node 160%)Most common region is posterior cervicalAlso presents as hearing loss, nasal block, epistaxis and cranial nerve palsy (most common VIN)Other cranial nerves which can be involved are II, III, IV, VI, V, IX, X XI, Homer's syndromeDiagnosis is with CT scan and MRI scansTreatment is with radiotherapy and chemotherapy (cisplatin +/- 5FU)